Massage of the carotid sinus results in all of the following, EXCEPT:
1. Increased pressure at the carotid sinus baroreceptors
2. Decreased firing rate of the carotid sinus fibers
3. Decreased firing rate of cardiac sympathetic fibers
4. Increased firing rate of the vagus nerve

Correct answer: 2. Decreased firing rate of the carotid sinus fibers

Explanation: Increased baroreceptor pressure causes an increase in the firing rate of the carotid sinus nerve (afferent) that inhibits the medullary vasomotor center. Consequently, both a decrease in sympathetic tone and an increases in vagal discharge (efferent) contribute to the fall in heart rate and arterial blood pressure following carotid sinus massage. When performing this maneuver on your patients or peers, be prepared for cardiac sinus arrest and avoid vigorous massage, which might dislodge an embolus and cause permanent neurological damage. Ref: Essential Cardiology: Principles and Practice, 3rd Ed, page 336-337